Ascospore is -
1. Asexual spore
2. Sexual spore
3. Conidia
4. None of the above

Correct answer: 2. Sexual spore

Explanation: FUNGAL SPORES

Most fungi reproduce through the generation of spores
Fungi produce spores by two methods-


Sexual reproduction → Sexual spores
Asexual reproduction → Asexual spores